A patient of partial gastrectomy presents with neurological symptoms. Most probable diagnosis is:
1. Folic acid deficiency
2. Thiamine deficiency
3. Vitamin B-12 deficiency
4. Iron deficiency

Correct answer: 3. Vitamin B-12 deficiency

Explanation: Ans. (c) Vitmain B12 deficiencyRef: Shackelford 7th Edition, Pages 759-760* B12 deficiency manifests as megaloblastic anemia* B12 deficiency happens after subtotal gastrectomy due to lack of IF secretion* Oral supplementation is not useful* Inj. B12 must be given every 3 monthly.